Extended spectrum beta lactamases (ESBLs) are characterized by activity against all except:
1. Penicillinases
2. Cephalosporinases
3. Oxyimino-cephalosporinases
4. Carbapenems

Correct answer: 4. Carbapenems

Explanation: CARBAPENEMS: lmipenem :It is an extremely potent and broad-spectrum Beta-lactam antibiotic whose range of activity includes grampositive cocci, Enterobacteriaceae, Ps. aeruginosa, Listeri.